All are organophosphorus poison, except ?
1. Abate
2. Dibenanone
3. Propoxur
4. Malathione

Correct answer: 3. Propoxur

Explanation: Ans. is 'c' i.e., Propoxur